What is the characteristic finding of Nutritional Rehabilitation syndrome seen after 1 Week of starting refeed
1. Hyperphosphatemia
2. Hypervolemia
3. Hypophasphatemia
4. Decreased insulin levels.

Correct answer: 3. Hypophasphatemia

Explanation: Nutritional Rehabilitation syndromw / Refeeding syndrome
Intake of excess carbohydrates
↓
Increase in serum insulin levels
a) Hypophosphatemia (Characteristic)
b) Hypokalemia
c) Hypomagnesemia.